Causative factor acne are following except:
1. Androgen
2. Oily food
3. Bacterial proliferation
4. Hypercornification of duct

Correct answer: 2. Oily food

Explanation: Acne is a chronic inflammatory disease of the pilosebaceous units, skin structures consisting of a hair follicle and its associated sebaceous gland Major factors are involved in the pathogenesis: - Hormonal factors (| androgens, Insulin resistance, Insulin growth factor-1(IGF-1) - | IL-1a activity - | Lenoleic acid - Increased sebum production k/a Seborrhea, - Hypercornification of the pilosebaceous duct, - Abnormality of the microbial flora especially colonization of the duct with Cutibacterium acnes. - The activity of bacteria (C.acnes) within the comedones releases free fatty acids from sebum, causes inflammation within the cyst, and results in rupture of the cyst.